Enterococcus faecalis in post treatment periodontitis
1. Cultured easily and disinfected
2. Disinfected with saline and hydrogen peroxide
3. Tolerate pH upto 11.5
4. Treated with intra canal medicaments

Correct answer: 3. Tolerate pH upto 11.5